Serine while metabolism is converted to which amino acid?
1. Proline
2. Alanine
3. Glycine
4. None of the above

Correct answer: 3. Glycine

Explanation: Following conversion to glycine, catalyzed by serine hydroxymethyltransferase, serine catabolism merges with that of glycine. Ref: Harper 28th edition, chapter 29.